All of the following statements are true about congenital rubella except
1. It is diagnosed when the infant has IgM antibodies at birth
2. It is diagnosed when Ig G antibodies persist for more than 6 months
3. M.C. congenital defects are deafness, congenital heart disease and cataract
4. Infection after 16 weeks of gestation result in major congenital defects

Correct answer: 4. Infection after 16 weeks of gestation result in major congenital defects

Explanation: The risk of congenital defects has been estimated at 90% for maternal infection before 11 wks of gestation,33% at 11-12 wks ,11% at 13-14 wks, and 24% at 15-16 wks Defects occuring after 16 wks of gestation are uncommon ,even if fetal infection occurs. The fetus is completely spared if infection occurs beyond 16 weeks. Reference: Nelson textbook of pediatrics 19th edition Page 1075